Foramen of Winslow is?
1. Between greater and lesser sac
2. At hilum of liver
3. Transverse cervical ligament of uterus
4. Pouch of Douglas

Correct answer: 1. Between greater and lesser sac

Explanation: Between greater and lesser sac